Structure related to deltopectoral groove ?
1. Axillary artery
2. Cephalic vein
3. Baselic vein
4. Radial nerve

Correct answer: 2. Cephalic vein

Explanation: Ans. is b' i.e., Cephalic veinDeltopectoral groove is a groove between deltoid muscle and pectoralis major muscle. It is traversed by cephalic vein